Not a supra hyoid muscle
1. Omohyoid
2. Myloyiod
3. Genihoyoid
4. Digastrics

Correct answer: 1. Omohyoid